True about Slipped femoral capital epiphysis is?
1. Seen in thin children
2. Treethowan sign seen
3. Major traumatic condition
4. Seen in adults

Correct answer: 2. Treethowan sign seen

Explanation: ANSWER: (B) Treethowan sign seenREF: Tachdjian's pediatric orthopedics 3rd edp. 711-39, Apley's 8th edp. 426 -430SLIPPED FEMORAL CAPITAL EPIPHYSIS (SFCE)Seen in adolescent children in age group of 13-15yrsEither overweight or sexually immaturePresents with endocrinopathiesHypothyroidismGrowth hormone excessCRFCraniopharyngiomaHypogonadismKlienfelter s syndrome may present as SFCETreethowan s sign on x-rayUSG or CT more sensitive in detecting early slipTc 99 scan shows increased uptakeRx is prompt surgery